Superficial second degree burns heal by
1. 1 week
2. 2 weeks
3. 3 weeks
4. 4 weeks

Correct answer: 2. 2 weeks

Explanation: Superficial second degree burns usually heal with minimum scarring in 10-14 days unless they become infected. Second degree burns are divided into superficial and deep burns. Superficial dermal burns: Erythematous and painful, blanch to touch and often blister. They heal in 10-14 days. Deep dermal burns : Involve the reticular dermis appear more pale and mottled, donot blanch to touch, but remain painful to pinprick. They heal in 4-8 weeks.